The deltoid ligament is a strong ligament. It is attached to all of the following structures, EXCEPT:
1. Medial malleolus
2. Medial cuneiform
3. Spring ligament
4. Sustentaculum tali

Correct answer: 2. Medial cuneiform

Explanation: Medial collateral ligament (deltoid ligament) attaches to the medial malleolus of the tibia and the navicular, talus, and calcaneus bones. This ligament prevents medial distraction (eversion) and excessive range of motion. It is subdivided into four parts:Tibionavicular part attaches the margin of the plantar calcaneonavicular ligament (spring ligament)Tibiocalcaneal part attaches to the sustentaculum tali of the calcaneus bonePosterior tibiotalar part attaches to the medial side and medial tubercle of the talusAnterior tibiotalar part attaches to the medial surface of the talus Ref: Gray's Basic Anatomy By Richard Drake, A. Wayne Vogl, Adam W. M. Mitchell, 2012, Page 320.